Which component of Strep. Pyogenes has cross reactivity to Synovium of Human tissues?
1. Capsular Hyaluronic Acid
2. Cell wall protein
3. Group A carbohydrate Antigen
4. Peptidoglycan

Correct answer: 1. Capsular Hyaluronic Acid

Explanation: Capsular Hyaluronic acid from streptococcus pyogenes always cross-reacts with human synovial fluid and not with cell wall protein, group A carbohydrate antigen and peptidoglycan. Ref: Textbook of Microbiology By Ananthanarayan, 7th Edition, Pages 205, 207; Lippincott's Illustrated Reviews: Pharmacology, 2nd Edition, Pages 80, 81